Anterior inferior cerebellar artery is a branch of:
1. Subclavian artery
2. Vertebral artery
3. Basilar artery
4. Middle cerebral artery

Correct answer: 3. Basilar artery

Explanation: Ans. C Basilar arteryRef: Netter's Clinical Anatomy, 3rd ed. pg. 426Branches of Basilar artery (mnemonic: P.A.L.S)Branches of Vertebral artery* Posterior cerebral artery* Pontine artery* Anterior inferior cerebellar artery* Labyrinthine artery* Superior cerebellar artery* Post inferior cerebellar artery (largest branch)* Anterior spina! artery (single artery and runs in anterior median fissure)* Posterior Spinal Artery* Basilar Artery